True about Bajaj committee
1. Constituted in 1946
2. Recommends formation of PHC
3. Recommends health manpower policy
4. Recommends formation of sub centres

Correct answer: 3. Recommends health manpower policy

Explanation: Bajaj Committee, 1986An "Expert Committee for Health Manpower Planning, Production and Management" was constituted in 1985 under Dr J.S. Bajaj, the then professor at AIIMS. Major recommendations are :Formulation of National Medical & Health Education Policy.Formulation of National Health Manpower Policy.Establishment of an Educational Commission for Health Sciences (ECHS) on the lines of UGC.Establishment of Health Science Universities in various states and union territories.Establishment of health manpower cells at centre and in the states.Vocationalisation of education at 10+2 levels as regards health-related fields with appropriate incentives, so that good quality paramedical personnel may be available in adequate numbers.Carrying out a realistic health manpower survey.